Facial pain due to elongated styloid process is called
1. Cowden syndrome
2. Tic doulourex
3. Eagle's syndrome
4. Reiter's syndrome

Correct answer: 3. Eagle's syndrome

Explanation: Eagles syndrome is due to either elongation of styLoid process or ossification of stylohyoid ligament causing dysphagia, sore throat, glossodynia, headache, and vague pain along distribution of internal and external carotid arteries. Pharyngeal pain and dysphagia are chief complaints in eagle's syndrome.